A 33-year-old has an infection in pregnancy. Which of the following is a reactivation and therefore not a risk to the fetus?
1. Group B coxsackievirus
2. Rubella virus
3. Toxoplasmosis
4. Shingles

Correct answer: 4. Shingles

Explanation: Coxsackievirus infection of the mother during the antepartum period may give rise to a virulent infection in the newborn, sometimes resulting in a fatal encephalomyocarditis. A maternal rubella infection may cause neonatal hepatosplenomegaly, petechial rash, and jaundice; Herpes zoster, the causative agent of varicella (chickenpox), is an especially dangerous organism for the newborn. Varicella if occurs shortly before delivery, the viremia may spread to the fetus before protective maternal antibodies have had a chance to form. Congenital varicella can be fatal to the newborn; Shingles, which is a reactivation of varicella, would not likely have fetal effects because of already existing maternal IgG from the initial exposure.